Bony nasal septum is formed by all except
1. Vomer
2. Sphenoid
3. Ethmoid
4. Nasal spine of nasal bone

Correct answer: 4. Nasal spine of nasal bone

Explanation: The bony part is formed by: Vomer The perpendicular plate of ethmoid Nasal spine of frontal one Rostrum of sphenoid Nasal crests of nasal, palatine and maxillary bones Ref BDC volume3,sixth edition pg 241